All of the following are preserved in a case of poisoning except
1. Stomach with its contents
2. A loop of large intestine
3. Blood
4. Urine

Correct answer: 2. A loop of large intestine

Explanation: (B) A loop of large Intestine